Shadow test is used in
1. Ophthalmoscopy
2. Gonoioscopy
3. Retinoscopy
4. Keratometry

Correct answer: 3. Retinoscopy

Explanation: Shadow test in Retinoscopy : Fundal reflex casting shadow in pupillary area.